All of the following are features of Zollinger Ellison syndrome except
1. Intractable peptic ulcers
2. Severe diarrhoea
3. Beta cell tumours of the pancreas
4. Very high acid output

Correct answer: 3. Beta cell tumours of the pancreas

Explanation: G cell hyperplasia with hypergastrinaemia is the pathology in type 1 and Gastrinomas in type 2 So due to acid there will be ulceration,very high acid output,along with actions of gastrin cause diarrhoea SRB's manual of surgery,5th edition,711